Choose the virus that is responsible for "Microcephaly, intracerebral calcifications, hepatosplenomegaly" when the fetus is exposed in utero (CHOOSE 1 VIRUS)
1. Cytomegalovirus
2. Rubella
3. Varicella zoster
4. Rubeola

Correct answer: 1. Cytomegalovirus

Explanation: Viral infections during pregnancy are of great concern. The risk to the fetus is greatest during the first trimester. In most instances, congenital infection results from transplacental transmission of the virus during maternal viremia. In addition, perinatal infection may result from acquisition of virus by passage of the infant through a contaminated birth canal. Cytomegalovirus, rubella, and varicella are well established as teratogens. Congenital disease may range from mild symptoms to major congenital defects to asymptomatic disease with late sequelae. Hepatitis B is only rarely transmitted in utero-more usually at the time of birth and may cause a mild to severe hepatitis in infancy or, more commonly, result in a carrier state. Carriers run the risk of developing cirrhosis or hepatocellular carcinoma later in life. Rubeola is uncommon in pregnancy and has not been associated with any specific anomalies.